FSH is secreted by
1. Chrompphobes
2. Basophils
3. Acidophils
4. Theca interna Cells

Correct answer: 2. Basophils

Explanation: Gonadotropic cells are endocrine cells in the anterior pituitary that produce the gonadotropins, such as the follicle-stimulating hormone (FSH) and luteinizing hormone (LH). Release of FSH and LH by gonadotropes is regulated by gonadotropin-releasing hormone (GnRH) from the hypothalamus.Gonadotropes appear basophilic in histological preparations.Ref: Ganong's review of medical physiology; 24th edition; page no:-333